Lingual flange in the posterior region is determined by:
1. Genioglossus
2. Mylohyoid
3. Superior constrictor
4. All of the above

Correct answer: 3. Superior constrictor

Explanation: Lingual ﬂange in the anterior region is determined by genioglossus, in molar region by mylohyoid in posterior region it is determined by palatoglossus and superior constrictor.
Labial border is determined by buccinator and masseter.